According to biophysics, in which part of eye does maximum refraction occur?
1. Cornea
2. Aqueous humor
3. Centre of the lens
4. Periphery of the lens

Correct answer: 1. Cornea

Explanation: Cornea The cornea is the first and most powerful refracting surface of the eye. Light passes through the transparent cornea on its way to the retina. It has a greater curvature than the rest of the eyeball and a refractive power of approximately 44 dioptres.